Adenosine deaminase deficiency is seen in the following:
1. Common variable immunodeficiency
2. Severe combined immunodeficiency
3. Chronic granulomatous disease
4. Nezelof syndrome

Correct answer: 2. Severe combined immunodeficiency

Explanation: The most common cause of autosomal recessive severe combined immunodeficiency(SCID) is the deficiency of enzyme adenosine deaminase (ADA)Defect lies in lymphoid stem cells, resulting in failure of both T and B cellsDeficiency of ADA leads to accumulation of deoxyadenosine & its derivatives, which are toxic to immature lymphocytes, especially those of T lineage, and this may account for the marked decrease in T lymphocyte number in severe cases(ref: Harrison's 18/e p2700)